A female patient was on lithium therapy for bipolar disorder for 6 months. She kept the fast for few days due to religious reasons and presented with seizures, coarse tremors, confusion and weakness of limbs. Which of the following should be done to diagnose her condition?
1. Serum Electrolytes
2. Serum lithium levels
3. ECG
4. MRI

Correct answer: 2. Serum lithium levels

Explanation: Lithium side effects L - leucocytesLeucocytosis I - Increase T - tremors H - hypothyroidism I - increase Polyuria U - Urine M - avoided in mothers -Plasma concentration norms Acute mania - 0.8 - 1.2 mEq/L Prophylaxis - 0.5 - 0.8 mEq/L Toxic - >2 mEq/L